Which of the following is not a derivative of the middle ear cleft
1. Semicircular canal
2. Mastoid air cell
3. Tympanic cavity
4. Eustachian tube

Correct answer: 1. Semicircular canal

Explanation: Middle ear cleft consists of the eustachian tube, aditus, antrum and mastoid hair cells. Reference: Dhingra 6th edition